In caissons, disease pain in joint is because of
1. Nitrogen bubble
2. Oxygen bubble
3. Carbon monoxide
4. Air in joint

Correct answer: 1. Nitrogen bubble

Explanation: Caisson's disease has many synonyms : as:- Bends - Decompression sickness - Diver's paralysis - Dysbarism.It occurs in divers, compressed air is taken in order to match the pressures at deep sea.The air contains Nitrogen in almost 70 % of the mixture.At high pressures in the sea, the pressure over the body is balanced by the compressed air delivered to the lungs and the N2 stays dissolved in the tissues, more in fat than in other compartments.But if the diver ascends very quickly then the N2 is converted into its gaseous form as the pressure outside the body drops down to 1 atm. (760 mm Hg), at first, they are smaller bubbles which later coalesce and progressively larger vessels are affected.Tissue ischemia and sometimes tissue death is the result.Coronaries getting blocked, cause myocardial damage.Most people with bends have joint pains and muscles of the arms and legs affecting 85-90%.Ref: Ganong 22nd Ed/ Pg 695, Guyton 11th Ed/Pg 549,548